Barrets ulcer is due to-
1. Ischemia
2. Ectopic gastric mucosa
3. Bile reflux
4. Reflux esophagitis

Correct answer: 4. Reflux esophagitis

Explanation: Ans. is 'd' i.e. Reflux esophagitis